Which of the following is true about upper l/3rd of the rectum?
1. It is covered by peritoneum only anteriorly
2. It is covered by peritoneum on the front, sides and back
3. It has no peritoneal attachments
4. It is covered by peritoneum on the sides and anteriorly

Correct answer: 4. It is covered by peritoneum on the sides and anteriorly

Explanation: Ans. is 'd' i.e., It is covered by peritoneum on the sides and anteriorly Upper 1/3rd of rectumCovered by peritoneum on the front and sidesMiddle 1/3rd of rectumCovered by peritoneum on the sides onlyLower 1/3rd of rectumDevoid of peritoneal attachments